Which of the following is Masochistic habit
1. Nail biting
2. Digit Sucking
3. Lip biting
4. Gingival stripping

Correct answer: 4. Gingival stripping

Explanation: Classification of Habits